Arias stella reaction is not seen in :
1. Ovarian pregnancy
2. Molar pregnancy
3. Interstitial pregnancy
4. Salpingitis isthmica nodosa

Correct answer: 4. Salpingitis isthmica nodosa

Explanation: Ans. is d i.e. Salpingitis isthmica nodosa Arias stella reaction Arias stella reaction is characterized by adenomatous change of the endometrial glands. There is intraluminal budding. Cells loose their polarity, have hyperchromatic nucleus, vacuolated cytoplasm and occasional mitosis. The reaction is seen in ectopic pregnancy (in 10 - 15% cases) and indicates blightening of conceptus either intra or extra uterine. Arias Stella Reaction is not specific for ectopic pregnancy but for blightening of conceptus either intra uterine or extrauterine. In the options given : Ovarian pregnancy 1 Are examples of ectopic pregnancy and therefore Arias stella reaction Interstitial pregnancy I will be seen in them. Molar pregnancy will lead to blightening of ovum and therefore, Arias stella reaction may be seen. Salpingitis isthmica nodosa : Salpingitis lsthmica Nodose (SIN) is a noninflammatory pathologic condition of the tube in which tubal epithelium extends into the myosalpinx and forms a true diverticulum. This condition is found more often in the tubes of women with an ectopic pregnancy than in nonpregnant women. Whether tubal pregnancy is caused by SIN or whether the association is coincidental is unknown. So by itself in SIN, Arias Stella Reaction is not seen. Only when SIN will lead to Ectopic pregnancy then Arias Stella Reaction will be seen.